Thiamine deficiency is known to occur in all of the following, EXCEPT:
1. Food Faddist
2. Homocystinemia
3. Chronic alcoholic
4. Chronic heart failure patients on diuretics

Correct answer: 2. Homocystinemia

Explanation: Homocystinemia is a cause of folate deficiency, not thiamine. Food Faddism, chronic alcoholism and chronic heart failure patients on diuretics are causes of thiamine deficiency. Other at-risk populations are women with prolonged hyperemesis gravidarum and anorexia, patients with overall poor nutritional status on parenteral glucose and patients after bariatric bypass surgery. Ref: Harrisons principles of internal medicine, 18th edition, Page: 869, 596